X-ray feature of pyloric stenosis is -
1. Single bubble appearance
2. Double bubble appearance
3. Triple bubble appearance
4. Multiple air fluid levels

Correct answer: 1. Single bubble appearance

Explanation: The plain XR will show a "single bubble" with air in a distended stomach. An elongated and narrowedpyloric canal (2-4cm in length) results in a "string" sign when a small amount of barium streaks through the pyloric canal